Methods of producing fusion of cells are A/E
1. Attaching inactive viral particles on cell membrane
2. Adding polyethylene glycol
3. Applying a small electric current
4. Reducing surface tension

Correct answer: 4. Reducing surface tension

Explanation: D i.e. Reducing surface tension Cell fusion (eg. as used in hybridoma technique to produce monoclonal antibodies) can be brought about by - Exposure to polyethylene glycol gelQ - Electric field induced (i.e. applying small electric current) cell fusionQ - Laser induced cell fusion - Attaching inactive viral particlesQ like inactivated rota virus and Sendai virus.